A 24 year old male suffered a A with multiple abdominal injuries and femur fracture. He has lost 10% of his blood. The initial fluid of choice is
1. Crystalloid
2. Colloid
3. Packed RBCs
4. Whole Blood

Correct answer: 1. Crystalloid

Explanation: Answer- A. CrystalloidThis is grade I shock choice of fluid is crystalloid